In acute inflammation pain is mediated by ?
1. Serotonin
2. Histamine
3. Bradykinin
4. Cytokines

Correct answer: 3. Bradykinin

Explanation: Ans. is 'c' i.e., Bradykinin